Clinical features of Uraemia will appear when GFR is < ___ml/min/ 1.73 m2?
1. 15
2. 30
3. 45
4. 60

Correct answer: 1. 15

Explanation: Development of: Uraemia <15 ml/min/1.73m2 Acidosis, hyperkalemia 15-29 ml/min/1.73m2 Anemia 30-59 ml/min/1.73m2 Hypertension 60-89 ml/min/1.73m2